Lee-jones test is used in which poison
1. Phosphorus
2. Cyanide
3. Methyl alcohol
4. Copper

Correct answer: 2. Cyanide

Explanation: Test for cyanide Lee-jones test : Few crystals of ferrous sulphate is added to 5 ml of gastric contents. To it, 5 drops of NAOH is added. The mixture is boiled and cooled. 10 drops of 10% HCL is added to it. Greenish blue color indicates cyanide and purplish color indicate salicylates. Ref: FORENSIC MEDICINE AND TOXICOLOGY Dr PC IGNATIUS THIRD EDITION PAGE 473